Anchovy sauce-like material is associated with:
1. Amoebic colitis
2. Amoebiasis cutis
3. Amoebic liver abscess
4. Pulmonary amoebiasis

Correct answer: 3. Amoebic liver abscess

Explanation: Entamoeba histolytica causes amoebic liver abscess. The centre of the abscess contains thick chocolate brown pus i.e. Anchovy sauce pus which is liquefied necrotic liver tissue. It is bacteriologically sterile & free of Amoeba. Liver abscess may be multiple on more often solitary, usually located on upper right lobe of liver. -Signs of amoebic liver abscess are:- 1. Painful Hepatomegaly 2. Fever 3. Anorexia 4. Nausea 5. Weight Loss.